Amalgam often tends to discolor the teeth. This can be inhibited by using:
1. A zinc free alloy
2. An alloy containing zinc
3. Calcium hydroxide on the pulpal floor
4. Cavity varnish on all cut surfaces

Correct answer: 4. Cavity varnish on all cut surfaces